A patient with head injury opens eyes of painful stimulus, used inappropriate words, and localizes pain. What is his GCS score?
1. 8
2. 10
3. 12
4. 14

Correct answer: 2. 10

Explanation: .GLASGOW COMA SCALE EYE OPENING VERBAL RESPONSES MOTOR RESPONSES spontaneous -4 oriented -5 obeys commands -6 to speech -3 confused -4 localises pain -5 to pain -2 inappropriate words -3 flexion to pain -4 none -1 incomprehensible words -2 abnormal flexion -3 none -1 extension to pain -2 none -1 TOTAL SCORE:15 MILD HEAD INJURY:13-15 MODERATE HEAD INJURY:9-12 SEVERE HEAD INJURY:less than 8(3-8) (Ref : SRB's Manual of Surgery, 5th editin , pg no. 1093)